Max. Joseph's space is a histopatho-logical feature of:
1. Psoriasis vulgaris
2. Lichen planus
3. Pityriasis rosea
4. Parapsoriasis

Correct answer: 2. Lichen planus

Explanation: B i.e. Lichen planus